Locard's exchange principle is for-
1. Detecting poisoning
2. Estimating the age
3. Finding out time since death
4. Detecting crime

Correct answer: 4. Detecting crime

Explanation: D i.e. Detecting crimes